All are true about DVT EXCEPT
1. More common is lower limb
2. Leads to pulmonary embolism
3. Most important sign is colour change of limb
4. Main symptom is aching pain

Correct answer: 3. Most important sign is colour change of limb

Explanation: (C) Most important sign is colour change of limb # DVT: The thrombus may commence in a venous tributary of a main vein.> The calf is the most frequent site of thrombosis.> From here thrombus extends in a serpentine fashion into the main deep veins, where a portion may break off to cause pulmonary embolus.> The three most important signs which may be present in a case of deep vein thrombosis are swelling, tenderness & Homans' sign.